Delayed prolonged vascular leakage can result from:
1. Burns
2. X-Rays
3. Exposure to the sun
4. All of the above

Correct answer: 4. All of the above

Explanation: In some forms of mild injury (e.g., after burns, irradiation or ultraviolet radiation, and exposure to certain bacterial toxins), vascular leakage begins after a delay of 2 to 12 hours and lasts for several hours or even days. Delayed prolonged leakage may be caused by contraction of endothelial cells or mild endothelial damage. Sunburn is a classic example of damage that results in late-appearing vascular leakage.